The following statements are true regarding the SA node except:
1. Is located at the right border of the ascending aorta
2. It contains specialized nodal cardiac muscle
3. It is supplied by the artial branches of the right coronary artery
4. It initiates cardiac conduction

Correct answer: 1. Is located at the right border of the ascending aorta

Explanation: A i.e. Is located at the right border of ascending aorta S.A node is located at the junction of superior venacave with right atriumQ just deep to the epicardium, near the superior end of sulcus terminalis and AV node is located in the right postero-inferior region of interatrial septum near the opening of coronary sinus.